Which of the following mineral has similar action like vitamin E
1. Calcium
2. Iron
3. Selenium
4. Magnesium

Correct answer: 3. Selenium

Explanation: Selenium is needed for the enzyme glutathione peroxidase involved in the defence against free radical mediated damage of lipid bilayer Vitamin E is also involved in the same So, selenium has sparing effect on Vitamin E, i.e. Vitamin E deficiency can be corrected with selenium and vice versa.